Punched out edge is characteristic of which type of
ulcer:
1. Tuberculosis
2. Rodent ulcer
3. Syphillitic
4. Non specific

Correct answer: 3. Syphillitic